Treatment of choice for 'erythrasma' is:
1. Doxycycline
2. Gentamycine
3. Clarithromycin
4. Moxifloxacin

Correct answer: 3. Clarithromycin

Explanation: Erythrasma is a cutaneous infection caused by Nondiphtherial corynebacteria C. minutissimum producing reddish-brown, macular, scaly, pruritic intertriginous patches. The dermatologic presentation under the Wood's lamp is of coral-red fluorescence. There is evidence for a polymicrobial etiology in certain settings. In addition, this fluorescent microbe has been associated with bacteremia in patients with hematologic malignancy. Erythrasma responds to topical erythromycin, clarithromycin, clindamycin or fusidic acid. Severe infections may require oral macrolide therapy. Ref: Harrisons principles of internal medicine, 18th edition, Page: 1192